Neuropraxia is a condition characterized by
1. Division of nerve sheath
2. Division of axons
3. Division of nerve fibres
4. Physiological block

Correct answer: 4. Physiological block

Explanation: Ans. (d) Physiological blockRef Apley's 8th/ 231Patterns of nerve injuryNeuropraxiaAxonotmesisNeurotmesis* Reversible physiological nerve conduction block* It is seen in crutch palsy tourniquet palsy, and Saturday night palsy.* There is loss of conduction because of axonal interruption but the nerve is in continuity and the neural tubes are intact* Seen in closed fractures and dislocations* There is complete division of nerve with complete loss of conduction (i.e. epineurium, perineurium, endoneurium, & axon all have lost their continuity)* Seen in open wounds